Features of delirium:
1. Deficit of attention (Attention Deficit)
2. Autonomic instability (dysfunction)
3. Altered sleep wake pattern
4. All

Correct answer: 4. All

Explanation: A. i.e. Deficit of attention; B. i.e. Autonomic instability; C. i.e. Altered sleep wake pattern